Supero-lateral boundary of axillary dissection is?
1. Clavi-pectoral fascia
2. Brachial plexus
3. Axillary artery
4. Axillary vein

Correct answer: 4. Axillary vein

Explanation: ANSWER: (D) Axillary veinREF: Grays anatomy, 39th edition, page 841Also see Anatomy Q1 Dec 2010"Axillary node clearance can be defined as clearing the axillary contents bounded by the axillary skin laterally, latissimus dorsi, teres major and subscapularis posteriorly, the lower border of the axillary vein superiorly, pectoralis muscles anteriorly, and the chest wall medially.The levels of axillary nodes are anatomically defined as level one (inferolateral to pectoralis minor), level two (posterior to pectoralis minor) and level three (superomedial to pectoralis minor). In reality, these nodes are in continuity with each other but the concept of axillary node levels is useful when discussing the extent of axillary node surgery"